A total of 5000 pts of glaucoma are identified and surveyed by pts. interviews regarding family history of glaucoma. Such a study design is called -
1. Case series report
2. Case control study
3. Clinical trial
4. Cohort study

Correct answer: 1. Case series report